Which drug is responsible for coronary steal phenomenon?
1. Aspirin
2. Clopidogrel
3. Dipyridamole
4. Prasugrel

Correct answer: 3. Dipyridamole

Explanation: Ans. C. DipyridamoleDipyridamole is antiplatelet drug responsible for coronary steal phenomenon. It dilates the resistance vessel in non ischaemic area and thus decreasing the blood flow to already ischaemic region.